All of the following immunosuppressives cause profound myelosuppression except:
1. Sirolimus
2. Cyclosporine
3. Azathioprine
4. Mercaptopurine

Correct answer: 2. Cyclosporine

Explanation: Ciclosporin's main effect is to lower the activity of T-cells; it does so by calcineurin-phosphatase pathway.Unlike cytotoxic immunosuppressants, it is free of toxic effects on bone marrow and RE system as it doesn't act on cell cycle.(ref: KD Tripathi 6/e p839)